Mask-like appearance of face with narrowing of aperture and rigidity of the mucosa is characteristic of:
1. Progressive systemic sclerosis
2. Tetanus
3. Multiple sclerosis
4. OsteomaLacia

Correct answer: 1. Progressive systemic sclerosis